Paramesonephric duct forms:
1. Seminal vesicle
2. Ureter
3. Uterus
4. Vas deferens

Correct answer: 3. Uterus

Explanation: Ans. is c, i.e UterusPara mesonephric duct is the other name for Mullerian duct so now we don't need any explanation for this one.